Calculate the prevalence if incidence is 2 cases per 1,000 population per year and mean duration is 4 years-
1. 8 mases per 1,000 population
2. 2 cases per 1,000 population
3. 0.5 cases per 1,000 population
4. 32 cases per 1,000 population

Correct answer: 1. 8 mases per 1,000 population

Explanation: prevalence is calculated as the product of incidence and mean duration of a disease in a community.during a specific period,here it is given as 4 *2 cases per 1000 population. ref:park's textbook,ed 22,pg no 67